Serum alkaline phosphatase is greatly increased in
1. Haemolytic jaundice
2. Hepatic jaundice
3. Obstructive jaundice
4. None of these

Correct answer: 3. Obstructive jaundice

Explanation: Ans. C. Obstructive jaundiceSerum ALP is elevated as it is released from the cells of the damaged bile duct. It happens in obstructive or regurgitation jaundice.